Commonest neurological tumour associated with NF-2:-
1. Acoustic neuroma
2. Optic glioma
3. Cafe-Au-Lait macules
4. Meningioma

Correct answer: 1. Acoustic neuroma

Explanation: NF is a type of genetic condition Gene Chromosome Protein Features NF 1 17 Neurofibromin - Cafe-au-lait-macules (CALM) NF 2 22 Merlin -Vestibular Schwannoma (Acoustic neuroma): commonest neurological tumour. -Giant Neurofibromas, Meningioma - Axillary Freckling